Which statement about macrophages is FALSE?
1. They help in processing and presenting antigen to immunocompetent cells
2. They act as mediators in certain cell-mediated immune reactions
3. They can have Fc receptors
4. They can produce immunoglobulins

Correct answer: 4. They can produce immunoglobulins

Explanation: Macrophages are crucial effectors and effectors of immunity. They can produce soluble factors to influence the growth and function of lymphoid and nonlymphoid tissue, as well as responding to certain lymphokines. Plasma cells, derived from B-lymphocytes secrete immunoglobulin and not macrophages. Ref: Fundamental Immunology By William E. Paul, Page 19